False about Trypanosoma Brucei
1. Causes african sleeping sickness
2. Winter bottom sign is seen in Gambiense
3. Gambiense shows antigenic Variations
4. Transmitted by rubbing of reduviid bugs

Correct answer: 4. Transmitted by rubbing of reduviid bugs

Explanation: Transmitted by bite of Tsetse fly.